Labour is said to be prolonged when duration of latent stage of labour crosses:
1. 12 hours
2. 18 hours
3. 20 hours
4. 36 hours

Correct answer: 3. 20 hours

Explanation: labour pattern nullipara multipara prolonged latent phase >20 hrs >14 hrs protracted active phase dilatation <1.2 cm/hr <1.5 cm/hr protracted descent <1 cm/hr <2 cm/hr arrest of dilatation >2 hr >2 hr arrest of descent >1 hr >1 hr